Which of the following is not a part of ethmoidal bone?
1. Inferior turbinate
2. Uncinate process
3. Aggar nasi
4. Crista galli

Correct answer: 1. Inferior turbinate

Explanation: Inferior turbinate: It is a separate bone. Uncinate process: It is a sickle-shaped bone arising from ethmoid bone running in from anterosuperior to the posteroinferior direction. Agger nasi: The agger nasi cell is the anterior-most anterior ethmoid sinus cell that is present in almost all individuals just anterior to the anterior free margin of the middle turbinate. Crista Galli: It is a median ridge of bone that projects from the cribriform plate of the ethmoid bone. (Ref: Diseases of Ear, Nose and Throat and head and neck surgery, Dhingra 7th edition, page no. 150 B. D.Chaurasia, 6th edition, VOL3, Head and neck )